During surgical exploration for hydatid cyst of the liver, any of the following agents can be used as a scolicidal agent except
1. Hypertonic sodium chloride
2. Formalin
3. Cetrimide
4. Povidone iodine

Correct answer: 2. Formalin